Parkinson triad contains all EXCEPT:
1. Rigidity
2. Resting tremors
3. Bradykinesia
4. Preserved postural reflexes

Correct answer: 4. Preserved postural reflexes

Explanation: Ans. D i.e. Preserved postural reflexes Parkinsonism is a disorder of the extrapyramidal system, characterized by tremor, rigidity, bradykinesia and postural disturbances Parkinsonism/Parkinson's syndrome/Atypical Parkinson's/Secondary Parkinson's It is a neurological syndrome (not necessarily the specific disease) characterized by tremor, hypokinesia, rigidity, and postural instability. The underlying causes of parkinsonism are numerous, and diagnosis can be complex. The neurodegenerative condition Parkinson's disease (PD) is the most common cause of parkinsonism. However, a wide range of other etiologies may lead to a similar set of symptoms, including some toxins, a few metabolic diseases, and ahandful of non-PD neurological conditions.